Pencil in cup deformity is seen in -
1. Rheumatoid arthritis
2. Ankylosing spondylitis
3. AVN
4. Psoriatic arthritis

Correct answer: 4. Psoriatic arthritis

Explanation: Ans. is 'd' i.e., Psoriatic arthritisImportant radiological featuresDiseaseo Trident Hando Champagne glass pelviso Scottish terrier dog or Scottish dog wearing a coloro Be-headed scotty dog signo Inverted napoleon's Hat signo Gull's wing appearanceo Opera glass deformityo Cup and pencil deformityo Chondrocalcinosiso Bamboo spineo Trolly tract signo Dagger signo Licked candy stick appearanceo Lincoin - Log appearance of vertebraeo Flowing candle wax or molten wax appearanceo Marble bone diseaseo Flowing candle wax appearanceAchondroplasiaAchondroplasiaOblique x-ray of ofSpondylolysisSpondylolisthesisSpondylolisthesisPsoriatic arthritisPsoriatic arthritisPsoriatic arthritisPseudogout (CPPD)Ankylosing spondylitisAnkylosing spondylitisAnkylosing spondylitisLeprosySickle cell anemiaMelorheostosisOsteopetrosisDISH (Foresteier's disease)